Hypergonadotropic hypogonadism ?
1. Decrease FSH and LH
2. Decrease FSH and increase LH
3. Increase FSH increase LH
4. Increase FSH decrease LH

Correct answer: 3. Increase FSH increase LH

Explanation: Ans. is '-c' i.e., Increase FSH increase LH Hypergonadotropic hypogonadism Also K/a primary or peripheral hypogonadism. Characterised by hypogonadism due to an impaired response of the gonads to the gonadotropin, FSH and LH. In turn a lack of sex steroid production and elevated gonadotropin level(FSH and LH). Causes : Chromosomal abnormalitis Turner's syndrome Klinefelter syndrome Swyer's syndrome Enzyme defect 17 , hydroxylase 17, 20 lyase deficiency